Very low birth weight babies are -
1. < 2500 gm of birth weight
2. < 1500 gm of birth weight
3. < 1000 gm of birth weight
4. Between 2500-3000 gm of birth weight1

Correct answer: 2. < 1500 gm of birth weight

Explanation: Ans. is 'b' i.e., < 1500gm of birth weight